Which of the following has least minimum infective dose(MID) required for causing infection:
1. Salmonella typhi
2. Campylobacter jejuni
3. Shigella dysentery
4. Vibrio cholera

Correct answer: 3. Shigella dysentery

Explanation: Ans. (c) Shigella dysentery "Shigella cause bacillary dysentery. Infection occur by ingestion. The minimum infective dose is low: as few as I0-I(N bacilli are capable of initiating the disease, probably because they survive gastric acidity better than other enterobacter"- Ananthanarayan.